Which of the following is true about bladder cancer?
1. For patients with bladder cancer invading into the bladder muscle ( T2 lesion) immediate radiotherapy followed by surgery offers the best chance of cure.
2. Patients with limited lymph node involvement may be cured by surgery alone.
3. Continent neo-bladders have yet to be successfully utilized in patients undergoing cystectomy.
4. Intravesical chemotherapy prior to surgery is routinely used for bladder cancers invading into the bladder muscle ( T2 lesion).

Correct answer: 2. Patients with limited lymph node involvement may be cured by surgery alone.

Explanation: For patients who have disease invading into bladder muscle ( T2), immediate (within 3 months of diagnosis) cystectomy with extended lymph node dissection offers the best chance of survival. Patients with limited lymph node involvement may be cured with surgery alone. Treatment of Bladder Cancer Early stage: Surgery (TUR or trans urethral resection of the bladder followed by intravesical chemotherapy (i.e. Mitomycin) or immunotherapy (BCG) Muscle Invading Cancer: Surgery (total or partial cystectomy) may be preceded by chemotherapy or followed by chemotherapy and/or radiation depending on the stage. Nd :YAG laser can also be used in the resection of bladder cancer. Advanced: Chemotherapy or Radiation